Shrinking lung is a feature of:
1. SLE
2. Rheumatoid arthritis
3. Scleroderma
4. Sarcoidosis

Correct answer: 1. SLE

Explanation: Answer is A (SLE): Shrinking lung syndrome is a pulmonary manifestation of SLE. Shrinking Lung Syndrome Shrinking lung syndrome is a rare manifestation / complication of SLE and is characterized by diaphragmatic weakness or dysfunction. Shrinking lung syndrome is associated with restrictive physiology and abnormalities of ventilation and the absence of overt parenchymal or vascular disease. The restriction is due to weakness of muscles of respiration including the diaphragm - there is selective involvement of diaphragm & respiratory muscles.